Which of the following is most characteristic of the brain in patients with Alzheimer’s disease
1. Pigmentary degeneration in hippocampus
2. Demyelination in cerebral cortex
3. Posterior column degeneration
4. Neuronal loss in cerebral cortex

Correct answer: 4. Neuronal loss in cerebral cortex

Explanation: Most prominent feature of alzheimer’s disease is neuronal loss, fibrillary tangles, loss of synapses and amyloid plaque formation.